Which of the following is not a Pox virus?
1. Cow pox
2. Molluscum contagiosum
3. Small pox
4. Chicken pox

Correct answer: 4. Chicken pox

Explanation: PoxvirusesGenusVirusPrimary HostDiseaseOrthopoxvirus1. VariolaHumansSmallpox 2. VacciniaHumansFor smallpox vaccination3. CowpoxCowsRare in Humans4. MonkeypoxMonkeysRare in HumansMolluscipoxvirusMolluscum contagiosumHumansBenign skin nodulesParapoxvirus1. Orf2. Pseudocowpox3. Bovine papular stomatitisSheepCowsRare in HumansYatapoxvirus1. Tanapox2. YabapoxMonkeysRare in HumansChicken pox belongs to Herpes virus familyReference: Jawetz, Melnick, & Adelberg's Medical Microbiology; 27th edition; Chapter 34; Poxviruses